Deficit in weight for height in a 3 year old child indicates -
1. Acute malnutrition
2. Chronic malnutrition
3. Concomittant acute and chronic
4. Under weight

Correct answer: 1. Acute malnutrition

Explanation: Weight reflects only the present health status of the child, the height indicate the events in the past also. So reduced weight for height denotes acute malnutrition. REF. PARK'S TEXTBOOK OF PREVENTIVE AND SOCIAL MEDICAL 21ST EDITION. PAGE NO - 501